Winter bottom's sign in sleeping sickness refers to-
1. Unilateral conjunctivitis
2. Posterior cervical lymphadenopathy
3. Narcolepsy
4. Transient erythema

Correct answer: 2. Posterior cervical lymphadenopathy

Explanation: Sleeping sickness 

Fever
Loss of nocturnal sleep
Headache
Feeling of oppression
Pruritis and maculopapular rashes
Weight loss
Arthralgia
Hepatosplenomegaly
Lymphadenopathy, particularly of the posterior triangle of the neck → Winter bottom's sign